Which of the following is not a sign of the skull base fracture?
1. Fox sign
2. Halo sign
3. Battle sign
4. Racoon eyes

Correct answer: 1. Fox sign

Explanation: Skull base fracture can have the following presentation: Battle sign: Ecchymosis at the mastoid process due to extravasation of blood Racoon eye / Black eye: Ecchymoses in the periorbital area Target sign / Halo sign: Cerebrospinal fluid (CSF) rhinorrhea Hemotympanum Damage to Cranial nerves VII or VIII - Fox sign is seen in acute hemorrhagic pancreatitis due to bruising over the inguinal ligament.